Not true about Fuch's corneal dystrophy ?
1. Posterior dystrophy
2. Endothelial dystrophy
3. Unilateral condition
4. Occurs in old age

Correct answer: 3. Unilateral condition

Explanation: Ans. is 'c' i.e., Unilateral condition Corneal dystrophies are bilateral. Fuch's epithelial endothelial dystrophy Fuchs dystrophy is frequently seen as a slowly progressive bilateral condition affecting females more than males, usually between fifth and seventh decade of life. Primary open angle glaucoma is its common association. Clinical features can be divided into following four stages :? Stage of cornea guttata. It is characterised by the presence of Hassal-Henle type of excrescenses in the central part of cornea. A gradual increase of central guttae with peripheral spread and confluence gives rise to the so called 'beaten-metal ' appearance. The stage is asymptomatic. Oedematous stage or stage of endothelial decompensation is characteirsed by the occurrence of early stromal oedema and epithelial dystrophy. Patients complains of blurring vision. Stage of bullous keratopathy. This stage follows long-standing stromal oedema and is characterised by marked epithelial oedema with formation of bullae, which when rupture cause pain, discomfort and irritation with associated decreased visual acuity. Stage of scarring. In this stage epithelial bullae are replaced by scar tissue and cornea becomes opaque and vascularized. The condition may sometiems be complicated by occurrence of secondary infection or glaucoma.